BFHI (baby friendly hospital initiative) is launched by:
1. WHO
2. WHO & UNICEF
3. India Government
4. None of the above

Correct answer: 2. WHO & UNICEF

Explanation: Ans. B. WHO & UNICEFIn 1992, UNICEF and WHO launched the baby friendly hospital initiative amongst doctors, nurses, health workers and parents, in hospitals and maternity centers to promote, protect and support breast feeding. The object is to reestablish the superiority of breast feeding in order to protect the newborn's health by becoming baby friendly. To fulfill the initiative, UNICEF and WHO laid down ten steps to create the baby friendly environment.